DOC for Cisplatin induced nausea & vomiting occuring within 24 hours is
1. Aprepitant
2. Fosaprepitant
3. Ondansetron
4. Promethazine

Correct answer: 3. Ondansetron

Explanation: DOC for Cisplatin induced nausea & vomiting within 24 hours is Ondansetron.
DOC for Cisplatin induced nausea & vomiting after 2days is Aprepitant.